Principal serum enzyme used in clinical diagnosis of Wilson disease
1. Aspartate aminotransferase
2. Ceruloplasmin
3. b-Glucoscerebrosidase
4. Lactate dehydrogenase isozyme 5

Correct answer: 2. Ceruloplasmin

Explanation: Serum enzymeDiseaseAspartate aminotransferase(AST, or SGOT)Myocardial infarctionAlanine aminotransferase(ALT, or SGPT)Viral hepatitisAmylaseAcute pancreatitisCeruloplasminHepatolenticular degeneration(Wilson disease)Creatine kinaseMuscle disorders and myocardialinfarctiong-Glutamyl transferaseVarious liver diseasesLactate dehydrogenaseisozyme 5Liver diseasesLipaseAcute pancreatitisb-GlucoscerebrosidaseGaucher diseasePhosphatase, alkaline(isozymes)Various bone disorders,obstructive liver diseasesRef: Harper's Biochemistry; 30th edition; Chapter 7 Enzymes: Mechanism of Action